According to Eversole theory Salivary gland tumours arising from intercalated duct reserve cell are all except:
1. Pleomorphic adenoma.
2. Warthins tumor.
3. Mucoepidermoid carcinoma.
4. Acinic cell carcinoma.

Correct answer: 3. Mucoepidermoid carcinoma.